Dialysis patients are prone to develop
1. Iron toxicity
2. Lead toxicity
3. Zinc toxicity
4. Aluminium toxicity

Correct answer: 4. Aluminium toxicity

Explanation: Can lead to anemia, osteopenia, demetia.